Action of parathormone on phosphate level ?
1. Decreases phosphate level
2. Increases phosphate level
3. No effect
4. Variable effect

Correct answer: 1. Decreases phosphate level

Explanation: Ans. is 'a' i.e., Decreases phosphate level